Acinic cell carcinomas of the salivary gland arise most often in the ?
1. Parotid salivary gland
2. Minor salivary glands
3. Submandibular salivary gland
4. Sublingual salivary gland

Correct answer: 1. Parotid salivary gland

Explanation: Ans. is 'a' i.e., Parotid salivary gland Acinic cell tumor These are relatively uncommon tumors, representing only 2 to 3% of Salivary gland tumors. Composed of cells resembling the normal serous acinal cells of salivary glands. Most arise in the parotids - The remainder arise in submandibular glands. Minor Salivary glands are rarely involved because they have only a scant number of Serous Cells May be bilateral and multicentric.